Mercury will affect which part of the renal tubule?
1. Loop of Henle
2. DCT
3. CT
4. PCT

Correct answer: 4. PCT

Explanation: Proximal convoluted tubular necrosis is characteristic of mercuric nephrotoxicity.